A  25 yr old female has recurrent headaches for past 3 years. Headache is episodic throbbing in nature and is associated with nausea and vomiting, preceded by visual aura .The patient is suffering from
1. Common migraine
2. Classical migraine
3. Cluster headache
4. Tension headache

Correct answer: 2. Classical migraine

Explanation: Headache described is characteristic of migraine. The one with aura is classical, the one without aura is common migraine